Specific gravity of amniotic fluid
1. 1.213
2. 1.01
3. 1.51
4. 1.1

Correct answer: 2. 1.01

Explanation: Specific gravity of the amniotic fluid is 1.010 Fluid is faintly alkaline It becomes highly hypotonic to maternal serum at term pregnancy Ref: Dutta Obs 9e pg 34.